Millard gubler syndrome includes the following except -
1. 5th nerve palsy
2. 6th nerve palsy
3. 7th nerve palsy
4. Contralateral hemiparesis

Correct answer: 1. 5th nerve palsy